Macular sparing is seen in affection of
1. Optic nerve
2. Optic chiasma
3. Occipital lobe
4. Parietal lobe

Correct answer: 3. Occipital lobe

Explanation: MACULA HAS GOT DUAL SUPPLY-BOTH MCA AND PCA